Deficiency of E-cadherin is seen in?
1. Intestinal carcinoma
2. Thyroid carcinoma
3. Colon cancer
4. Gastric cancer

Correct answer: 4. Gastric cancer

Explanation: E-cadherin (CDH-1) deficiency is seen in Gastric cancer and lobular breast cancer.